All are sonological features of Budd Chiari syndrome, EXCEPT:
1. Intraluminal echogenicity of hepatic vein
2. Thickened walls of hepatic vein
3. Stenosis and proximal dilatation of the hepatic veins
4. Dilated hepatic veins

Correct answer: 4. Dilated hepatic veins

Explanation: Budd-Chiari syndrome Liver is typically large and bulbous in the acute phase. Hemorrhagic infarction may produce substantially altered regional echogenicity. The caudate lobe is often spared in BCS as the emissary veins drain directly into the IVC at a lower level than the involved main hepatic veins, leading to caudate hypertrophy Partial or complete inability to see the hepatic veins, stenosis with proximal dilatation, intraluminal echogenicity, thickened walls, and thrombosis. The IVC may show narrowing due to compression by the enlarged caudate lobe Membranous webs may be seen as echogenic areas or focal obliteration of the lumen. Webs may be difficult to visualize in cirrhotic patients in whom the hepatic veins are difficult to see. Uncommonly, an aneurysm may be seen in the IVC. Ref: J Ultrasound Med 2006; 25:373-379.